Peripheral chemoreceptors are stimulated maximally by:
1. Cyanide
2. Anemia
3. Hypocapnia
4. Alkalosis

Correct answer: 1. Cyanide

Explanation: Ans. A. Cyanidea. "Carotid and aortic bodies can also be strongly stimulated by certain chemicals,b. particularly cyanide ion and other poisons of the metabolic respiratory chain." Cyanide produces histotoxic hypoxia of glomus cell. Hypoxia leads to closure of O2 sensitive K+ channel of glomus cell and stimulation.